NOT a true content of Inguinal canal among the following is
1. Vas deferens
2. Pampiniform plexus of Veins
3. Ilioinguinal nerve
4. Artery to Vas

Correct answer: 3. Ilioinguinal nerve

Explanation: Ilioinguinal nerve is NOT a true content of Inguinal canal